Tunica reaction is seen in -
1. H. influenzae
2. Plague
3. R. mooseri
4. B. Anthrax

Correct answer: 3. R. mooseri